Most common causative organism for lobar pneumonia is:
1. Staphylococcus aureus
2. Streptococcus pyogenes
3. Streptococcus pneumoniae
4. Haemophilus influenzae

Correct answer: 3. Streptococcus pneumoniae

Explanation: Ans. is 'c' i.e., Streptococcus pneumoniae* Most common cause of lobar pneumonia: Pneumococcus.* Most common cause of acute sinusitis: Pneumococcus.* Most common cause of adult meningitis: Pneumococcus.* Most common cause of atypical pneumonia: Mycoplasma pneumoniae.* Most common infection of pneumococcus: Otitis media.